Fir tree  appearance of bladder is seen in
1. Schistosomiasis
2. Neurogenic bladder
3. Tuberculosis
4. Pelvic abscess

Correct answer: 2. Neurogenic bladder

Explanation: Neurogenic bladder is bladder dysfunction (flaccid or spastic) caused by neurologic damage. Symptoms can include overflow incontinence, frequency, urgency, urge incontinence, and retention.
Risk of serious complications (eg, recurrent infection, vesicoureteral reflux, autonomic dysreflexia) is high.